Vertebral arteries are derived from:
1. Axillary artery
2. Subclavian artery
3. Internal carotid artery
4. None of the above

Correct answer: 2. Subclavian artery

Explanation: The vertebral arteries are derived from the subclavian arteries. They ascend through the neck in the foramina transversaria of the upper six cervical vertebrae and enter the cranial cavity through the foramen magnum, close to the anterolateral aspect of the medulla Ref: Gray's anatomy 40th edition, Chapter 17.